Best investigation is to assess the resectability of Cancer Pancreas?
1. Contrast enhanced CT scan
2. MRI abdomen
3. USG
4. ERCP

Correct answer: 1. Contrast enhanced CT scan

Explanation: Ans. (a) Contrast Enhanced CT ScanRef: Schwartz 10th/e p. 1398* Best investigation to assess the operability of cancer pancreas is by Triple Phase Contrast CT Scan with Pancreatic Protocol Cuts